Sequstrated lobe of lung is commonly supplied by -
1. Pulmonary artery
2. Intercostal artery
3. Descending aorta
4. Bronchial artery

Correct answer: 3. Descending aorta

Explanation: Ref:Harsh Mohan - Textbook of Pathology, 6th Edition.page no.462 BRONCHOPULMONARY SEQUESTRATION Sequestration is the presence of lobes or segments of lung tissue which are not connected to the airway system. The blood supply of the sequestered area is not from the pulmonary arteries but from the aorta or its branches. Sequestration may be intralobar or extralobar. Intralobar sequestration is the sequestered bronchopulmonary mass within the pleural covering of the affected lung. Extralobar sequestration is the sequestered mass of lung tissue lying outside the pleural investing layer such as in the base of left lung or below the diaphragm. The extralobar sequestration is predominantly seen in infants and children and is often associated with other congenital malformations.